Calculate the Alveolar ventilation per minute of a patient with respiratory rate 14/min, tidal volume of 500 ml with a vital capacity 7000 ml
1. 4900 ml
2. 2000 ml
3. 7700 ml
4. 7000 ml

Correct answer: 1. 4900 ml

Explanation: Alveolar ventilation= Respiratory rate X (Tidal volume – Dead space)
Respiratory rate provided in question- 14 per minute
Tidal Volume- 500ml
Dead Space- 150 ml 
AV= 14 (500-150)= 14 X 350 = 4900ml/min = 4.9 L/min